All are true about Raynauds phenomena except?
1. Exposure to cold aggravates
2. Spasm of vessels
3. More common in females
4. Atherosclerosis of vessels

Correct answer: 4. Atherosclerosis of vessels

Explanation: Ans. is 'd' i.e., Atherosclerosis of vessels